Fate of notochord is:
1. Annulus fibrosis
2. Nucleus pulposus
3. Vertebral foramen
4. Spinous process

Correct answer: 2. Nucleus pulposus

Explanation: Early in development, the embryonic mesoderm becomes differentiated into three distinct regions: paraxial mesoderm, intermediate mesoderm, and lateral mesoderm.The paraxial mesoderm gets divided into somites which gets differentiated into a ventromedial part (the sclerotome) and a dorsolateral part (the dermatomyotome).The dermatomyotome now further differentiates into the myotome and the dermatome.The mesenchymal cells of the sclerotome rapidly divide and migrate medially during the fourth week of development and surround the notochord.The caudal half of each sclerotome now fuses with the cephalic half of the immediately succeeding sclerotome to form the mesenchymal vertebral body.Each vertebral body is thus an intersegmental structure.The notochord degenerates completely in the region of the vertebral body, but in the intervertebral region, it enlarges to form the nucleus pulposus of the intervertebral discs.The surrounding fibrocartilage, the anulus fibrosus, of the intervertebral disc is derived from sclerotomic mesenchyme situated between adjacent vertebral bodies.